Ewings sarcoma arises from:
1. Totipoetent cells
2. Blastemal cells
3. Neuroectodermal cells
4. Mesodermal cells

Correct answer: 3. Neuroectodermal cells

Explanation: Ewings sarcoma is a neuro ectodermal tumor.